Loop diuretics acts on ?
1. Descending limb
2. Thick ascending limb
3. Cortical segment
4. Collecting duct

Correct answer: 2. Thick ascending limb

Explanation: Ans. is b' i.e., Thick ascending limb